In Crigler-Najjar syndrome type II, the defect lies in
1. Uptake of bilirubin by the liver cells
2. Conjugation of bilirubin
3. Excretion of bilirubin
4. Bile duct the prevents the passage of bile into the intestine

Correct answer: 2. Conjugation of bilirubin

Explanation: Here the defect is in conjugation. In Type 1 (Congenital non-hemolytic jaundice), there is severe deficiency of UDP glucuronyl transferase. The disease is often fatal and the children die before the age of 2. Jaundice usually appears within the first 24 hours of life. Unconjugated bilirubin level increases to more than 20 mg/dl, and hence kernicterus resultsRef: DM Vasudevan, page no: 251